Patella commonly dislocates:
1. Laterally
2. Medially
3. Superiorly
4. Inferiorly

Correct answer: 1. Laterally

Explanation: Ans. A i.e. Laterally